Inferior Rib notching is seen in?
1. Coarctation of aorta
2. Marfan's syndrome
3. Rickets
4. SLE

Correct answer: 1. Coarctation of aorta

Explanation: a. Coarctation of aorta(Ref: Nelson's 20/e p 2205)Notching of the inferior border of 3rd - 9th ribs from pressure erosion by enlarged collateral vessels, is usually seen beyond the age of 3 years, in a child with coarctation of aorta.